Which of the following drug is used against bacteria Pseudomonas aeruginosa?
1. Piperacillin-Tazobactum
2. Cefotaxime
3. Streptomycin
4. Cephalexin

Correct answer: 1. Piperacillin-Tazobactum

Explanation: Ans. a. Piperacillin-Tazobactum (Ref: KDT 7/e p724; Goodman Gillman 10/e p1174) Piperacillin-Tazobactum is used against bacteria Pseudomonas aeruginosa.Piperacillin is used inPseudomonas infectionQKlebsiella infectionQAnaerobic-Bacteroides infectionQDrugs for Pseudomonas aeruginosaAntipseudomonalCephalosporins* CeftazidimeQ* CefoperazoneQ (cephalosporin excreted in bile therefore not given with probenecidQ)Antipseudomonal penicillins* Carboxy penicillins: e.g. CarbeniciilinQ and TicarcillinQ* Ureidopenicillins: e.g. AzlocillineQ, MezlocillineQ, PiperacillineQlmipenamQ* It is the most spectrum beta-lactam antibiotic (active against pseudomonas)AztreonamQ* It is a beta-lactam antibiotic with only one lactam ring i.e. monobactam.Quinolones* CiprofloxacinAminoglycosides* GentamycinQ, TobramycinQ and AmikacinQ are used for gram -ve infections.* Outstanding feature of Amikacin is its resistance to bacterial aminoglycoside inactivating enzymeQPolypeptide* Polymyxin BQ and ColistinQ* Colistin is more potent in Pseudomonas.Vancomycin does not act on PseudomonasQ.Bacitracin does not act on PseudomonasQ.